The optimal flow rate of coolant for sonic and ultrasonic subgingival scaling is
1. 1-11 ml/min
2. 14-23 ml/min
3. 24-32 ml/min
4. 34-40 ml/min

Correct answer: 2. 14-23 ml/min